All occurs in botulism except :
1. Diplopia
2. Diarrhoea
3. Dysphagia
4. Dysarthria

Correct answer: 2. Diarrhoea

Explanation: “Botulism toxin act as parasympatholytic so it cause severe constipation not diarrhoea.”

Also produce vomiting, thirst, ocular paresis, difficulty in swallowing/ speaking/ breathing.